A 34-year old patient with chronic glomerulonephritis has been receiving hemodialysis for the last three years. He has been waiting for a renal transplantation from cadaver. His blood type is A+ and he has been receiving transfusion for past six months. Which of the following factors contraindicate renal transplantation in this patient?
1. Autonomic neuropathy of the recipient
2. Two antigens of HLA match with cadaver
3. Donor blood group B+
4. Recipient blood hemoglobin level of 6.0 g/dl

Correct answer: 3. Donor blood group B+

Explanation: The single most important factor to be matched during transplantation is the blood group antigen. Blood group antigen incompatibility or positive cross matching preclude transplantation. Matching of HLA antigen improves graft survival but is relatively less important in cadaveric transplantation. Neither hypertension nor peripheral neuropathy are contraindications for transplantation. In fact, transplantation may cure neuropathy, anemia, and hypertension in these patients. Ref: Flechner S.M. (2008). Chapter 35. Renal Transplantation. In E.A. Tanagho, J.W. McAninch (Eds), Smith's General Urology, 17e.